Which of the following is not seen in death due to starvation:
1. Translucent intestine walls
2. Contracted and empty stomach
3. Large bowel may contain faecolith
4. Shrunken gall bladder

Correct answer: 4. Shrunken gall bladder

Explanation: Ans. D: Shrunken gall bladder The gall bladder is full and distended, there having no call for bile from the intestine Internal appearances in death due to starvation There is generalized reduction in the size and weight of all the organs except brain The organs are frequently pale and atrophied Blood volume is reduced and there is marked anaemia Omental and mesenteric fat is lost Stomach is empty Small intestine may be so thin as to be almost transparent (typical of death due to starvation) Large bowel may contain faecoliths Gall bladder is full and distended Gall stones may be present Bones are demineralised; stress fracture my occur